Bilateral recurrent laryngeal nerve palsy is seen in all except ?
1. Thyroid carcinoma
2. Lymphadenopathy
3. Thyroid surgery
4. Aortic aneurysm

Correct answer: 4. Aortic aneurysm

Explanation: Ans. is 'd' i.e., Aortic aneurysm